A 35 yr old lady with normal PT and increased APTT. 2 years back, she was operated for cholecystectomy & did not have any bleeding episode. What is next investigation for clinical diagnosis -
1. Factor VIII assay
2. Anti viper venom assay
3. Platelet aggregation test
4. Ristocetin Cofactor assay

Correct answer: 2. Anti viper venom assay